While working with dental material the factor C is
associated with
1. Condensation force
2. Tensile strength
3. Polymerization shrinkage
4. Carving of amalgam

Correct answer: 3. Polymerization shrinkage